Mitral and periglomerular cells are seen in
1. Medulla
2. Olfactory bulb
3. Primary visual cortex
4. Geniculate body

Correct answer: 2. Olfactory bulb

Explanation: Ans. (b) Olfactory bulb(Ref: Ganong, 25th ed/p.217)Olfactory bulb has got special synaptic units called olfactory glomeruli where four types of cells are seen namely,#Mitral cells#Tufted cells#Granule cells#Periglomerular cells